The term 'pulse granuloma' suggests reaction towards
the fragments of foreign material like:
1. Cotton fibres
2. Black silk
3. Silver amalgam
4. Legumes

Correct answer: 4. Legumes